All of the following infections have a well-recognized association with nephropathies except
1. Staph. Epidermidis
2. Salmonella typhi
3. Hepatitis A
4. Legionnaire's disease

Correct answer: 3. Hepatitis A

Explanation: ref - researchgate.net